Beta blockers are indicated for all of the following conditions except?
1. Hypothroidism
2. alcohol withdrawal
3. portal hypertension
4. performance anxiety

Correct answer: 1. Hypothroidism

Explanation: Hypothyroidism. Beta blockers are used to treat hyperthyroidism (Not hypothyroidism). Beta blockers are the only drugs offering prophylactic benefit in patiwnt with "varies" whose never bleed.